Which of the following is NOT a Calcium channel blocker
1. Verapamil
2. Pirenzepine
3. Felodipine
4. Nitrendipine

Correct answer: 2. Pirenzepine

Explanation: Ans. is 'b' i.e., Pirenzepine Pirenzepine is a selective M1 AntagonistCalcium channel blockers.Phenyl alkylamine - VerapamilBenzodiazepine -DiltiazemDihydropyridines - Nifedipine, Felodipine, Amlodipine, Nitrendipine, Nimodipine, Lacidipine More questions on calcium channel blocker -Only voltage sensitive L type channel are blocked by calcium channel blockers.CCB's causing ankle edema - NifedipineCCB's causing Reflex tachycardia - Nifedipine (C/I in angina)CCB's having most depressant affect on heart - Verapamil